Which of the following anti-cancer drugs is cell cycle specific?
1. Ifosfamide
2. Melphalan
3. Vinblastine
4. Cyclophosphamide

Correct answer: 3. Vinblastine

Explanation: Cell cycle specific Kill only actively dividing cells. Their toxicity is generally expressed in S phase. However, these drugs may show considerable phase selectivity eg VINCA ALKALOIDS These are mitotic inhibitors, bind to microtubular protein-'tubulin', prevent its polymerization and assembly of microtubules, cause disruption of mitotic spindle and interfere with cytoskeletal function. The chromosomes fail to move apart during mitosis: metaphase arrest occurs. They are cell cycle specific and act in the mitotic phase. Vincristine and vinblastine, though closely related chemically, have somewhat different spectrum of anti tumour activity and toxicity. Vinblastine It is primarily employed with other drugs in Hodgkin's disease and testicular carcinoma. Bone marrow depression is more prominent while neurotoxicity and alopecia are less marked than with vincristine. Other eg Daunorubicin, bleomycin, etoposide, topotecan Vincristine, vinblastine, paclitaxel, docetaxel. Essentials of medical pharmacology K D Tripathi Sixth edition Pg no 830